Which of these are associated with increased risk of colorectal Ca -a)  More intake of animal fatb)  Aspirinc)  Ulcerative colitisd)  Amoebic colitise)  Polyps
1. acd
2. bde
3. cde
4. ace

Correct answer: 4. ace

Explanation: Risk factors for Colon cancer

Dietay factures - explainaed in previous quetion
Hereditary factors
Polyposis coli 
Nonopolyposis herditary colon cancer ( also known as Lynch syndrome)
Inflammatory bowel disease
- Long standing IBD increases the risk
- Risk is more with ulcerative colitis than crohn's disese.
- Risk increases with the duration and extent of colitis.

4. Streptococcus bovis bacteremia


Individuals who develop endocarditis or septicemia from this bacteria, have a high incidence of occult colorectal tumors and passibly upper GI cancers also.

5. Other Risk factors
(a) Ureterosiginoidostomy
(b) Cigarette smoking - is linked to the development of colorectal adenomas , particularly after >35 yrs of use.
(c) Acromegaly
(d) Pelvic irradiation
Aspirin & other NSAIDs use has been foud to have a protective effect (Chemopervention)
Other substance found to have chemoprentive action are → Oral folic acid supplementation, Oral calcium supplementation, Estrogen replacement therapy.